The aqueous flare is best demonstrated by:
1. Biomicroscope
2. Keratoscope
3. Pentoscope
4. Ophthalmoscope

Correct answer: 1. Biomicroscope

Explanation: Ans. Biomicroscope